DNA can be taken as sample from all of the following except:
1. Hair roots
2. Semen
3. CSF
4. Buccal mucosa

Correct answer: 3. CSF

Explanation: Ans. C: CSF The process begins with a sample of an individual's DNA (typically called a "reference sample"). The most desirable method of collecting a reference sample is the use of a buccal swab, as this reduces the possibility of contamination. When this is not available (e.g. because a court order may be needed and not obtainable) other methods may need to be used to collect a sample of blood, saliva, semen, or other appropriate fluid or tissue from personal items (e.g. toothbrush, razor, etc) or from stored samples (e.g. banked sperm or biopsy tissue). Hairs, visceral samples, bones and teeth or fingernail scrapings can be used for DNA analysis